Which inhalational agent acts on NMDA receptor:-
1. Xenon
2. Desflurane
3. Sevoflurane
4. Isoflurane

Correct answer: 1. Xenon

Explanation: acts on NMDA receptor Xenon has a very low blood-gas solubility coefficient (0.115) and so produces rapid induction of and emergence from anesthesia. the disadvantage with Xenon gas is its high density (5.9 g/L), which is much higher than oxygen and nitrous oxide which leads to increased flow resistance and work of breathing. Thus it is not suitable for patients with compromised respiratory function. It has minimal cardiovascular effects- It produces minimal cardiovascular depression, and it is not arrhythmogenic- and so is safe in cardiac patients. Xenon produces no green house effect or ozone depletion and is environmentally safe, unlike the other inhaled anesthetics. Other advantages of xenon: Does not trigger malignant hyperthermia Nonexplosive Has Analgesic activity - reduces intraoperative opioid requirements